All are true about J.E. Except -
1. Transmitted by culex mosquitoes
2. Death occur in 9 days
3. Case fatality rate 80 to 90%
4. Duration of prodromal symptoms 1-6 days

Correct answer: 3. Case fatality rate 80 to 90%

Explanation: Case fatality rate varies between 20-40 per cent. Ref: PARK'S TEXTBOOK OF PREVENTIVE AND SOCIAL MEDICINE 23rd edition pg 286